Buspirone is a -
1. Antianxiety drug
2. Antipsychotic d
3. Antidepressant drug
4. None of the a1

Correct answer: 1. Antianxiety drug

Explanation: Ans. is 'a' i.e., Antianxiety drug Buspironeo Buspirone is the first azapirone, a new class of anxiolytic drug,o Buspirone is a non-sedative, non-habit forming anxiolytic.o It differs from BZDs.Does not produce sedation or cognitive/functional impairment.Does not produce tolerance or physical dependence.Has no muscle relaxant or anticovulsant activity.Does not act on BZD receptor or modify GABA ergic transmission,o It has partial agonistic activity on 5-HT1 A receptors.o It relieves mild to moderate generalized anxiety, but is ineffective in severe cases.